Hypothyroidiam is caused by which of the following antitubercular drug
1. Streptomycin
2. Ethionamide
3. Thioacetazone
4. Ethambutol

Correct answer: 2. Ethionamide

Explanation: Refer KDT 6/e p743 PAS Ethionamide They can lead to hypothyroidiam